Atonic uterus is more common in :
1. Cesarean section
2. Multigravida
3. Primigravida
4. Breech delivery

Correct answer: 2. Multigravida

Explanation: Multigravida leads to postpartum hemorrhage due to laxed abdomen Inadequate retraction and frequent adherent placenta contribute to it. Ref: Datta Obs 9e pg 385.